Persistent diarrhoea is due to:
1. EAEC
2. EPEC
3. EIEC
4. ETEC

Correct answer: 1. EAEC

Explanation: Persistent diarrhoea is due to EAEC (Enteroaggregative Escherichia coli). option 1 EAEC: Persistent diarrhea in developing countries. option 2 EPEC- Infantile diarrhea. Option 3 EIEC- ulceration of bowel, dysentery (resembling shigellosis). option 4 ETEC- most common cause of traveler's diarrhea.